Who can be considerd as an expert witness-
1. Medical men
2. Firearm expert
3. Chemical examiner
4. All

Correct answer: 4. All

Explanation: Expert witness (skilled witness): It refers to a witness who is skilled in some particular field.
e.g. Medical officer, firearm expert, chemical expert, finger print expert, hand writing expert and ballistic expert etc.